N-acetyl-cysteine is antidote for toxicity with:
1. Benzodiazepine
2. Barbiturates
3. Acetaminophen
4. Amphetamine

Correct answer: 3. Acetaminophen

Explanation: Ans. Acetaminophen